Zoonotic diseases are -
1. Salmonellosis
2. Plague
3. Anthrax
4. All

Correct answer: 4. All

Explanation: Ans. is 'All